Acute pseudo-obstruction of the colon known as-
1. Sj ogren' s syndrome
2. Gardner's syndrome
3. Ogilivie's syndrome
4. Peutz-jegher's syndrome

Correct answer: 3. Ogilivie's syndrome